III Nerve palsy associated with contralateral hemiplegia is together known as
1. Weber's syndrome
2. Benedict's syndrome
3. Claude's syndrome
4. Avellis syndrome

Correct answer: 1. Weber's syndrome

Explanation: (A) Weber's syndrome > Injury to structures surrounding fascicles of the oculomotor nerve descending through the midbrain has given rise to a number of classic eponymic designations.> In Nothnagel's syndrome, injury to the superior cerebellar peduncle causes ipsilateral oculomotor palsy and contralateral cerebellar ataxia.> In Benedikt's syndrome, injury to the red nucleus results in ipsilateral oculomotor palsy and contralateral tremor, chorea, and athetosis.> Claude's syndrome incorporates features of both the aforementioned syndromes, by injury to both the red nucleus and the superior cerebellar peduncle.> Finally, in Weber's syndrome, injury to the cerebral peduncle causes ipsilateral oculomotor palsy with contralateral hemiparesi: